Which of the following is false regarding HPV virus regarding oncogenesis
1. Express oncogenic proteins
2. Inactivate tumor suppressors,
3. Inactivate cyclins
4. Inhibit apoptosis,

Correct answer: 3. Inactivate cyclins

Explanation: High-risk HPV types express oncogenic proteins that inactivate tumour suppressors, activate cyclins, inhibit apoptosis, and combat cellular senescence.Thus, it is evident that HPV proteins promote many of the hallmarks of cancer.(Refer: Robbins & Cotran's - Pathologic Basis of Disease, SAE, 1st edition, Vol I-pg no: 325-327)